Which precipitates at 50 to 60degC but Redis solve on heating?
1. Bence Jones protein
2. Heavy chain
3. Both light and heavy chains
4. Light chains

Correct answer: 1. Bence Jones protein

Explanation: Ans. is 'a' i.e., Bence Jones protein (Ref: Ananthanarayan, 9th/e, p. 97 and 8th/e, p. 98)* Bence Jones protein is abnormal immunoglobulin found in urine.* Coagulates at 50degC, redissolves at 70degC.*Elevated in Multiple myeloma.